A child of 5 year age reported to the clinic with fracture of deciduous incisor that is involving the pulp, it is considered as
1. Ellis class 1
2. Ellis class 2
3. Ellis class 3
4. Ellis class 9

Correct answer: 4. Ellis class 9

Explanation: Trauma to primary teeth is included in Ellis class 9 fracture.